Pneumonia "alba" is due to:
1. Klebsiella
2. Streptococci
3. Treponema pallidum
4. Staphylococci

Correct answer: 3. Treponema pallidum

Explanation: Treponema pallidum